The eye condition for which the World Bank assistance was provided to the National Programme for Control of blindness (1994-2001) is -
1. Cataract
2. Refractive errors
3. Trachoma
4. Vitamin A deficiency

Correct answer: 1. Cataract

Explanation: World Bank provides assistance to NPCB for control of cataract. World Bank assisted cataract blindness control project was launched in 1994. Its aim was to reduce the cataract back log in 7 states which were identified to have the highest prevalence of cataract blindness. It has been proposed to perform 1.1 crore cataract operations during the project period 1994-2001. The states with highest prevalence of cataract in descending order are:- Uttar Pradesh, Tamil Nadu, Madhya Pradesh, Maharashtra, Andhra Pradesh, Rajasthan, Orrisa.